Radiographic projection used to diagnose horizontally faourable and unfavourable fracture of mandible is
1. Lateral oblique view of mandible
2. PA view of skull
3. Reverse townes projection
4. Water view

Correct answer: 1. Lateral oblique view of mandible